Drug of choice for round worm
1. Albendazole
2. Metronidazole
3. Praziquantal
4. Mebendazole

Correct answer: 1. Albendazole